Commonest postoperative complication of tonsillectomy is
1. Palatal palsy
2. Haemorrhage
3. Injury to uvula
4. Infection

Correct answer: 2. Haemorrhage

Explanation: Commonest postoperative complication of tonsillectomy is haemorrhage Haemorrhage may be primary, secondary and reactionary haemorrhage Primary haemorrhage occurs at the time of operation Reactionary haemorrhage occurs within a period of 24 hrs Secondary haemorrhage occurs 5-10th postoperative day Re: Textbook of Ear, Nose and Throat, Dhingra, 6th Edition; Pg no: 430